Indications of Liver transplantation are All/Except
1. Biliary atresia
2. Sclerosing cholangitis
3. Hepatitis A
4. Cirrhosis

Correct answer: 3. Hepatitis A